Least common site involvemnet in psoriasis is
1. Scalp involvement
2. Nail Involvement
3. CNS involvement
4. Arthritis

Correct answer: 3. CNS involvement

Explanation: C. i.e. CNS involvement